Progesterone has how many carbons
1. 18
2. 19
3. 20
4. 21

Correct answer: 4. 21

Explanation: Progesterone (P4)C21H30O2is an endogenous steroid and progestogen sex hormone involved in the menstrual cycle, pregnancy, and embryogenesis of humans and other species. It belongs to a group of steroid hormones called the progestogens and is the major progestogen in the body. Progesterone is also a crucial metabolic intermediate in the production of other endogenous steroids, including the sex hormones and the corticosteroids, and plays an important role in brain function as a neurosteroid.Ref: Ganong's review of medical physiology; 24th edition; page no:-409